Which of the following tocopherol is the most active form of vitamin E?
1. Alpha
2. Beta
3. Gamma
4. Delta

Correct answer: 1. Alpha

Explanation: Vitamin E family contains tocopherols and tocotrienols. There are 4 vitamers a, b, g and d in each group. a-tocopherol is the most active form. Look at the isoprene side chain of tocopherol. All fat-soluble vitamins contain isoprene units. Structure of alpha tocopherol